Wavelength of Nd: YAG laser
1. 1040 nm
2. 1040 mm
3. 1064 cm
4. 1064 nm

Correct answer: 4. 1064 nm

Explanation: Ans. (d) 1064 nmRef: Khurana 6/e, p. 461Wavelength of laser is measured in nm and Nd:YAG Laser is 1064 nm. Nd:YAG Laser is used for posterior capsulotomy and peripheral iridotomy.